Medical management of insulinoma is
1. Octreotide
2. Streptozotocin
3. Diazoxide
4. Somatomedin

Correct answer: 3. Diazoxide

Explanation: Medical management is reserved only for patients who are unable or unwilling to undergo surgical treatment or for unresectable metastatic disease. Diazoxide suppresses insulin secretion by direct action on the beta cells and offers reasonably good control of hypoglycaemia in approximately 50%.Ref: Bailey and Love 27e pg: 849